Clinically significant drug interaction occurs between pyridoxine and all the following drugs except -
1. Isoniazid
2. Cyclosporine
3. Levadopa
4. Hydralazine

Correct answer: 2. Cyclosporine

Explanation: Ans. is 'b' i.e., Cyclosporine Drug interactions of pyridoxine o Isoniazid produces a pyridoxine deficiency state. o Hydralazine, cycloserine and penicillamine also interfere with pyridoxine ultization and action. Oral contraceptives reduce pyridoxal phosphate level in some women. Pyridoxine, by promoting formation of dopamine from levodopa in peripheral tissues, reduces its availability in brain. o 4-deoxypyridoxine is a pyridoxine (antagonist).